For early diagnosis of corynebacteria diphtheria medium used is
1. Potassium tellurite agar
2. Loeffler's serum slope
3. Hoyle's media
4. Tinsdale

Correct answer: 2. Loeffler's serum slope

Explanation: For early diagnosis - LSS (6-8hours).
For defenitive diagnosis - Potassium tellurite agar.